Cell type which lacks HLA antigen is
1. Monocyte
2. Thrombocytes
3. Neutrophil
4. Red blood cell

Correct answer: 4. Red blood cell

Explanation: Harshmohan textbook of pathology 7th edition HLA system composed of antigenic proteins present on all nuclear cells of the body and platelets. Mature RBC which lack nucleus so devoid of HLA system. .